Fluoroquinolone having longest half-life is:
1. Levofloxacin
2. Lomefloxacin
3. Ciprofloxacin
4. Moxifloxacin

Correct answer: 4. Moxifloxacin

Explanation: Moxifloxacin :It is a long-acting 2nd generation FQ having high activity against Str. pneumoniae, other gram-positive bacteria including Beta-lactam/ macrolide resistant ones and some anaerobes. It is the most potent FQ against M. tuberculosis. Bacterial topoisomerase IV is the major target of action. Moxifloxacin is primarily used for pneumonias, bronchitis, sinusitis, otitis media, in which efficacy is comparable to Betalactam.antibiotics. However, it is not good for urinary tract infections. Side effects are similar to other FQs. It should not be given to patients predisposed to seizures and to those receiving proarrhythmic drugs, because it can prolong Q-Tc interval. Phototoxicity occurs only rarely. ESSENTIALS OF MEDICAL PHARMACOLOGY K.D.TRIPATHI SIXTH EDITION PAGE NO:693